Incisional wound on genital is seen commonly in the following condition:
1. Accidents
2. Suicides
3. Homicides
4. Postmortem artifact

Correct answer: 3. Homicides

Explanation: Homicidal wounds are usually multiple and can occur in any region of the body. Wounds of the chest are usually present over a wider area and are more horizontal. They may be directed from below upwards. Incised wounds on nose, ears, and genitals are usually homicidal, and are inflicted on account of jealousy or revenge in cases of adultery, causing disfiguration. Ref: The essentials of forensic medicine and toxicology by Dr K S Narayan Reddy, 27th edition, Page 171.